Non-union is a complication of which of the following ?
1. Scaphoid fracture
2. Colle's fracture
3. Inter-trochanteric fracture of hip
4. Supracondylor fracture of the humerus

Correct answer: 1. Scaphoid fracture

Explanation: Sites of non union : Femur neck fracture Scaphoid fracture Tibia fracture Lateral condyle humerus fracture Fracture lower 3rd ulna Radiological features of nonunion of scaphoid: Rounding of fracture surfaces Fractures become sharply defined Cystic changes occur in one or both fragments Ref: Maheshwari and Mhaskar 9th ed pg 116.